Which of the following enzymes is involved in the degradation of the basement membrane?
1. Metalloproteinases
2. Oxidases
3. Elastases
4. Hydroxylases

Correct answer: 1. Metalloproteinases

Explanation: Matrix metalloproteinases are a family a proteolytic enzymes that degrade components of the extracellular matrix and basement membrane. Ref: Robbin's Basic Pathology 7th Edition, Page 110, 111, 312, 103; Clinical Gynecologic Endocrinology and Infertility By Marc A. Fritz, Leon Speroff, 2010, Page 596.